Tocopherol is associated with:
1. Vitamin A
2. Vitamin E
3. Vitamin K
4. Vitamin D

Correct answer: 2. Vitamin E